Metal fume fever is common in chronic poisoning with -
1. Mercury
2. Lead
3. Zinc
4. Thallium

Correct answer: 3. Zinc

Explanation: Metal Fume Fever is a self limiting influenza like syndrome resulting from acute exposure to fumes or smoke of zinc (most common), copper, manganese, nickel, mercury and other volatile metals.